The parasympathetic supply to otic ganglion comes from: (Repeat)
1. 7th cranial nerve
2. 8th cranial nerve
3. 9th cranial nerve
4. 3rd cranial nerve

Correct answer: 3. 9th cranial nerve

Explanation: Ans: C (9th cranial nerve) Ref: Gray Is Anatomy. 40th edition, pg. 495Explanation:Pharyngeal Arches and Their DerivativesArchnumberArch nameEmbryoniccartilageCartilage derivativeMuscleNerveArterylMandibularQuadrateMeckel's* Incus* Malleus* Anterior ligament of malleus* Spine of sphenoid* Sphenomnndibular ligament* Genial tubercle of mandible* Tensor tympani* Muscles of mastication* Mylohyoid* Anterior belly of digastric* Tensor veli palatiniTrigeminal (V) Mandibular division* First aortic arch artery 2HyoidReichert's* Stapes* Styloid process of temporal bone* Stylohyoid ligament* Lesser horn and upper part of body of hyoid bone* Stapedius* Stylohyoid* Facial muscles, including* Buccinator* Platysma* Posterior belly of digastricFacial (VII)* Stapedial artery 3Third * Greater hom and lower part of body of hyoid* StylopharyngeusGlossopharyngeal(IX)* Common carotid artery, first part of internal carotid artery4Fourth * Thyroid cartilage* Comiculate cartilage* Cunieform cartilage* Pharyngeal and extrinsic laryngeal muscles, levator veil palatiniVagus (X)Phary ngeal branch* Proximal part of subclavian artery on the right side* Arch of aorta between origins of left common carotid and left subclavian arteries6Sixth * Arytenoid cartilages* Intrinsic laryngeal musclesVagus (X) recurrent laryngeal branch* Part between the pulmonary trunk and dorsal aorta* Becomes ductus arteriosus on left, disappears on rightThis is a small, oval, flat reddish-grev ganglion situated just below the foramen ovale.It is a peripheral parasympathetic ganglion related topographically to the mandibular nerve, but connected functionally with the glossopharyngeal nerve. (See the following figure)